A chromosomal anomaly associated with alzheimer's dementia is -
1. Trisomy 18
2. Patau syndrome
3. Trisomy 21
4. Turners syndrome

Correct answer: 3. Trisomy 21